Hard exudates are seen in the following except
1. Hypertensive retinopathy
2. Diabetic retinopathy
3. Exudative retinopathy of Coat's
4. Leukemic retinopathy

Correct answer: 4. Leukemic retinopathy

Explanation: Leukaemic retinopathy It is characterised by pale and orange fundus background with dilated and tortuous veins. In later stages, greyish white lines may be seen along the course of the veins (due to perivascular leukaemic infiltration). Arterioles become pale and narrow. Retinal haemorrhages with typical white centre (Roth spots) are very common. Occasionally large pre-retinal (sub hyaloid) haemorrhages may also be seen. Ref:- A K KHURANA; pg num:-264